Bence Jones proteins are derived from-
1. Alpha globulins
2. Beta globulins
3. Gamma globulins
4. Delta globulins

Correct answer: 3. Gamma globulins

Explanation: About 2/3rd cases of myeloma excrete Bence Jones (light chain) proteins in the urine consists of either kappa or lamda light chains along with presence of Bence Jones paraproteins in the serum.Most commonly gamma globulin Ref;Robbins and Cotran Pathologic basis of disease.South Asia Edition volume 1.page no.363